Which of the following is the drug of choice for digoxin induced ventricular tachyarrhythmias?
1. Mexiletene
2. Amiodarone
3. Lignocaine
4. Phenytoin

Correct answer: 3. Lignocaine

Explanation: Ans. is 'c' i.e., Lignocaine Treatment for digoxin induced ventricular arrhythmias:* Lidocaine intravenous, repeated as required is the drug of choice. It suppresses the excessive automaticity, but does not accentuate A-V block.* Phenytoin is also effective but seldom used now, because sudden deaths have occurred when it was injected i.v. in digitalis intoxicated patients.* Quinidine and procainamide are contraindicated.